Renal stones are seen as a complication by using the following drug:
1. Tiagabine
2. Oxcarbazepine
3. Zonisamide
4. Phenytoin

Correct answer: 3. Zonisamide